Drug treatment is given for how many days in pneumococcal meningitis
1. 5 days
2. 7 days
3. 14 days
4. 21 days

Correct answer: 3. 14 days

Explanation: Ans. is 'c' i.e., 14 days